Common side effect of colchicine among the following is
1. Neutropenia
2. Asthma
3. Fever
4. Diarrhea

Correct answer: 4. Diarrhea

Explanation: Colchicine inhibits the polymerization of tubulin into microtubules. The disruption of the microtubules probably leads to defective intracellular movement of important proteins, nutrients, and waste products Common side effects of colchicine include bloating, abdominal cramps, lactose intolerance, and diarrhoea. They can be minimized by starting at a low dose and gradually advancing as tolerated, splitting the dose, use of simethicone for flatulence, and avoidance of dairy products. ref : Harrisons 20th ed